Ovulallon occurs :
1. 14 days after menstruation
2. 14 days before menstruation
3. 7 days after menses
4. None of the above

Correct answer: 2. 14 days before menstruation

Explanation: 14 days before menstruation